Bone within bone appearance is seen in –
1. CML
2. Osteoporosis
3. Osteopetrosis
4. Bone infarct

Correct answer: 3. Osteopetrosis

Explanation: Bone within a bone appearance may be seen in osteopetrosis.